Rapid diagnosis of rabies is made with?
1. Skin biopsy with fluorescent antibody testing
2. Rabies virus specific antibodies
3. Inoculation in mouse
4. Corneal impression smear

Correct answer: 1. Skin biopsy with fluorescent antibody testing

Explanation: Biopsy is taken from nape of neck, rabies virus present in hair follicle. Rabies-Lab Diagnosis Rabies Antigens or Nucleic Acids detection: Immunofluorescence or immunoperoxidase staining Biopsy specimen from skin of the neck at hairline Impression preparations of brain or cornea tissue Negri bodies in the brain-80% positivity -PCR test on brain tissue specimen Viral Isolation Tissue is inoculated intra-cerebrally into suckling mice Serology Serum / CSF anti-rabies Ab by immunofluorescence Animal observation